Pt. at 36 weeks of pregnancy has pain abdomen, uterine tenderness and bleeding per-vaginum. Her vitals the stable and has a regular fetal heart tracing. Which step of following is not required?
1. Ammiotomy/prostaglandins to induce labour
2. Arrange for blood products
3. Intravenous crystalloids and colloids
4. Tocolysis to arrest labor.

Correct answer: 4. Tocolysis to arrest labor.

Explanation: This is the case of abruptio placenta. As the pregnancy is at 36 weeks of gestation, the management would be immediate termination of pregnancy by artificial rupture of membrane and inducing labour. Therefore, giving tocolysis to arrest labour would not be an appropriate choice in this case. If the case was before 34 weeks of gestation, steroids should be given first for pulmonary maturity then terminating the pregnancy would be appropriate.